In Alzheimer's disease, the characteristic lesion is seen in
1. Amygdaloid complex
2. Nucleus of Meynert
3. Basal ganglia
4. Periventricle

Correct answer: 2. Nucleus of Meynert

Explanation: (B) Nucleus of Meynert # Pathology in Alzeihmer's disease:> The most severe pathology is usually found in the hippocampus, temporal cortex, and nucleus basalis of Meynert (lateral septum).> The most important microscopic findings are neuritic "senile" plaques and NFTs.> These lesions accumulate in small numbers during normal aging of the brain but occur in excess in AD.> Neuritic plaques contain a central core that includes A p amyloid, proteoglycans, Apo E4, a1 antichymotrypsin, and other proteins.> A amyloid is a protein of 39 to 42 amino acids that is derived proteolytically from a larger transmembrane protein, amyloid precursor protein (APP), which has neurotrophic and neuroprotective activity.> The normal function of A p amyloid is unknown.> Soluble amyloid fibrils may represent the initial pathologic event in AD leading to formation of neuritic plaques.> The plaque core is surrounded by the debris of degenerating neurons, microglia, and macrophages.> The accumulation of amyloid in cerebral arterioles, termed amyloid angiopathy, may lead to cerebral lobar hemorrhages.